Causes of secondary polycythemia may include -
1. Chronic cor pulmonale
2. Renal carcinoma
3. Cerebellar haemangioblastoma
4. All of the above

Correct answer: 4. All of the above